Efferent of cremasteric reflex is carried by:
1. Ilioinguinal nerve
2. Genitofemoral nerve
3. Iliohypogastric nerve
4. Pudendal nerve

Correct answer: 2. Genitofemoral nerve

Explanation: Ans. B. Genitofemoral nerveThe cremasteric reflex is a superficial (i.e., close to the skin's surface) reflex observed in human males.This reflex is elicited by lightly stroking or poking the superior and medial (inner) part of the thigh--regardless of the direction of stroke. The normal response is an immediate contraction of the cremaster muscle that pulls up the testis ipsilaterally (on the same side of the body). The reflex utilizes sensory and motor fibers from two different nerves. When the inner thigh is stroked, sensory fibers of femoral branch of the genitofemoral nerve are stimulated. These activate the motor fibers of the genital branch of the genitofemoral nerve which causes the cremaster muscle to contract and elevate the testis